In MCH programme the sampling is done by which method –
1. Systemic
2. Stratified
3. Group
4. Cluster–30

Correct answer: 4. Cluster–30